ALL are true regarding Anaemia of Chronic, Diseases, except -
1. Decreased serum Fe
2. Decreased Ferritin
3. Decreased Total Fe Binding Capacity
4. Increased Bone Marrow Fe

Correct answer: 2. Decreased Ferritin